All of the following are features of Premature Ventricular Complexes, Except
1. Wide QRS complex
2. Absent P wave
3. Complete compensatory pause
4. Prolonged PR interval

Correct answer: 4. Prolonged PR interval

Explanation: Answer is D (Prolonged PR interval) PR interval does not characterize Ventricular Premature complexes because AV conduction is not involved. Wide QRS complex, Absent P wave and a frequently Complete Compensatory Pause are all characteristic features of Premature ventricular complexes. The basic ECG characteristics of PVCs include the following: Rate The underlying sinus rate is usually regular but is intermittently interrupted by the PVC. This results in an irregular and fluctuating heart rate. Rhythm , The basic R-R interval is regular but is intemittently interrupted by the PVC. The R-R interval preceding the PVC is short due to the "prematurity" of the QRS complex and often the R-R interval after the PVC is longer due to a compenstory pause (Fig.2) P wave The premature QRS complex is not preceded by a conducted P wave (although in certain instances the PVC may coincidentally be preceded by a nonconducted sinus P wave) PR interval Not applicable because atrioventricular (AV) conduction is not involved. QRS complex QRS complex is premature 2 QRS complex is prolonged (>0.12 seconds)e QRS complex is bizzare or distorted (notched)e QRS complex is not proceeded by a P wave e QRS complex is frequently 'allowed by a complete compensatory pause e ST segment and T The ST segment and T wave slope in the opposite direction from the main deflection of ORS wave complex Note : A V dissociation' with 'capture beats' and fusion beats' are diagnostic criteria for ventricular tachycardia (VT) and not for PVC's. However, VT is defined by the presence of three or more consecutive PVC and hence AV dissociation, capture beats and fusion beats may be said to be occasionally present in PVC's when they occur in consecutive bests.